In an established case of coronary artery disease post MI which of the following drug will not prolong life expectancy?
1. ACE inhibitors
2. Statin
3. Aspirin
4. Nitrate

Correct answer: 4. Nitrate

Explanation: After STEMI post-MI the LV undergoes changes in size, shape, and thickness called ventricular remodeling. This is reduced by ACE inhibitors, ARBs Statins administered at dose of Atorvastatin 80 mg provides long-term mortality benefits Aspirin used daily reduces the incidences of clinical events and improve survival Other antiplatelet agents like clopidogrel, abciximab, tirofiban, and eptifibatide also improve survival No evidence that nitrates improve survival in myocardial infarction Trials Showing Improvement in Mortality in Post Ml ACE inhibitors SMILE, GISSI and ISIS4 trial ARB VALIANT Spironolactone RALES